Exclusive breast feeding means
1. Breast feeding on demand only + solid foods at other times
2. Breast feeding + solid foods + water
3. Breast feeding + water
4. Breast feeding only

Correct answer: 4. Breast feeding only

Explanation: (D) Breast feeding only > Exclusive Breastfeeding. Only breastmilk is given. No other food or drink, not even water, is given. Medicines, vitamins or mineral drops are permitted if indicated. An infant should be exclusively breastfed for first 6 months of life.